When a patient gets up from sitting position which of the following events takes place in his knee joint?
1. Medial rotation of femur on a fixed tibia
2. Lateral rotation of femur on a fixed tibia
3. Medial rotation of tibia on a fixed femur
4. Lateral rotation of tibia on a fixed femur

Correct answer: 1. Medial rotation of femur on a fixed tibia

Explanation: Physiological locking occurs in extension when the femur is internally (medially) rotated on a fixed tibia.
Locking is a mechanism that allows the knee to remain in the position of full extension as in standing without much muscular efforts and is caused by quadriceps femoris.